Which of the following is true about Residual volume?
1. Is a part of the expiratory reserve volume
2. Is a part of vital capacity
3. Cannot be measured directly with a spirometer
4. Represents the resting volume of the lungs

Correct answer: 3. Cannot be measured directly with a spirometer

Explanation: The volume of air remaining in the lungs after a maximal effort to exhale all the air possible (ie, after your best effort to "empty" your lungs) is the residual volume. This volume cannot be measured directly by a spirometer, which measures only change in volume. Since you cannot voluntarily change your lung volume below the residual volume, the spirometer cannot measure it. Other methods (eg, body plethysmography, inert gas dilution) must be used to measure residual volume.